Amotivation syndrome caused by -
1. Cannabis abuse
2. Opioid abuse
3. Alcoholabuse
4. Heroin abuse

Correct answer: 1. Cannabis abuse

Explanation: Ans. is 'a' i.e., Cannabis abuse Cannabis abuseo Cannabis, also known as marijuana, is obtained from the flowering tops and leaves of the Indian Hemp plant (Cannabis sativa). Preparation of cannabis are Bhang, Ganja and hashish (charas). The psychoactive substance of cannabis and its preparations is tetrahydrocannabinol (THC).Cannabis intoxicationo The most common physical effects are red eye (conjuctival injection) and mild tachycardia. Other important symptoms include increased appetite ("the munchies"), Dry mouth, Lightheadedness, euphoria, a sense of floating in air, derealization, depersonalization, synesthesia (stimulation of one sensory modality produces sensation of other modality).Complicationso Flash back phenomenon : - Recurrence of experience of cannabis use, i.e., person experiences the features of cannabis use without actually using it flash back phenomenon is also seen in abuse of hallucinogens LSD, Psilocybin, Psilocin.o Transient psychiatric disorders:- Acute anxiety, paranoid psychosis, schizophrenia like state etc.o Amotivational syndrome:- Apathy, loss of interest, reduced drive and lack of ambitionso Hemp, insanity or cannabis psychosis:- Acute schizophreniform disorder with disorientation and confusiono Running amok (Run amok):- Person has psychotic episode where he goes on the rampage destroying things and killing others.Medical useso Cannabis used medically does have several well documented benificial effects:-1) Amelioration of nausea and vomiting2) Stimulation of hunger in chemotherapy & AIDS patients3) To lower intraocular tension in glaucoma4) As analgesic5) In multiple sclerosis6 Depressiono However, FDA has not approved cannabis (marijuana) to be used for any of these conditions.